Ischemia of which of the vessel would cause least damage?
1. Renal artery
2. SMA
3. IMA
4. Celiac trunk

Correct answer: 3. IMA

Explanation: Occlusion of IMA does not always result in irreversible ischemia of the descending and sigmoid colon, because the marginal artery of colon usually receives an adequate supply from the left branch of the middle colic artery.